Which of the following antidotes is used for calcium channel blockers overdose ?
1. Atropine
2. Calcium gluconate
3. Adrenaline
4. Digoxin

Correct answer: 2. Calcium gluconate